Thrombolytics can provide relative mortality reduction in the treatment of acute myocardial infarction, if patient comes within :
1. 6 hours
2. 12 hours
3. 18 hours
4. 24 hours

Correct answer: 2. 12 hours